Difficulty score for a mesioangular class II position C mandibular third molar is
1. 6
2. 7
3. 8
4. 9

Correct answer: 1. 6